"Penis envy" is seen in
1. Male child in genital phase
2. Male child in phallic phase
3. Female child in phallic phase
4. Female child in genital phase

Correct answer: 3. Female child in phallic phase

Explanation: Female child in phallic phase (3-5 years)
Female child develops sexual feeling towards father, (electra complex) and when she comes to know that she doesn't have a penis, develops a desire to have it. This is termed as "Penis envy".
She thinks she had a penis and later her mother has castrated her and becomes angry on her.